The following drug has maximum propensity to cause peripheral neuropathy:
1. Didanosine
2. Zidovudine
3. Stavudine
4. Lamivudine

Correct answer: 3. Stavudine

Explanation: Both Stavudine and Didanosine cause peripheral neuritis in a dose dependent manner. But Stavudine has more chances to cause peripheral neuropathy. Peripheral neuropathy is not seen in patients on treatment with Lamivudine and Zidovudine. Ref: K D Tripathi Textbook of Pharmacology, 5th Edition, Pages 725-31